In low dose aspirin acts on :
1. Cyclooxygenase
2. Thromboxane A, synthase
3. PGI2 synthase
4. Lipoxygenase

Correct answer: 1. Cyclooxygenase